As per WHO, leprosy is a public health problem if prevalence is –
1. 0.10%
2. 0.01%
3. 0.50%
4. 1%

Correct answer: 2. 0.01%

Explanation: Leprosy is defined as public health problem when Prevalence rate is 1 or more per 10,000 population (.01%). "As a result of the hard work and meticulously planned and executed activities. the country achieved the goal of elimination of leprosy as public health problem defined as less than 1 case per 10000 population at the National level in the month of December, 2005. As on 31st December 2005. prevalence rate recorded in the country was  0.95/10.000 population"

Only 3 states/UTs are yet to achieve elimination → Bihar, Chhattisgarh, and Dadra & Nagar haveli.